Most common hormone deficiency seen after intracranial radiation therapy ?
1. Prolactin
2. Gonadotropins
3. ACTH
4. Growth hormone

Correct answer: 4. Growth hormone

Explanation: D i.e. Growth hormone Growth hormone deficiency is most common endocrinal complication of intracranial radiotherapyQ. Endocranial dysfunction in intracranial radiotherapy Hypopituitarism frequently occurs after exposure of hyothalmus or pituitary gland to therapeutic radiation; especially in children & adolescent. It develops usually after 5- 15 years and reflects hypothalmic damage rather than absolute destruction of pituitary cells. Irradiation dose & time interval after completion of radiotherapy strongly correlates with the development of hormonal abnormalities.